Karyotype of testicular feminisation-
1. 45 XO
2. 47 XXY
3. 46 XY
4. 46 XXY

Correct answer: 3. 46 XY